Term mottled enamel was given by
1. Murray
2. Mc Kay
3. Dean
4. Churchill

Correct answer: 2. Mc Kay